Trans-esophageal echocardiography is better over trans- thoracic echocardiography in?
1. Evaluation of left ventricle
2. Evaluation of left atria and left Atrial appendage thrombus
3. Evaluation of Pericardial fluid
4. Evaluation of commissural fusion

Correct answer: 2. Evaluation of left atria and left Atrial appendage thrombus

Explanation: Ans. (b) Evaluation of left atria and left Atrial appendage thrombusRef.: Harrison 19th ed. /270e-2* Trans-esophageal echocardiography is better than trans- thoracic echocardiography as it is better able to evaluate the left Atrial thrombus and left Atrial appendage. Therefore in patients of atrial fibrillation of long standing duration for evaluation of clots in left atrium, trans-esophageal echocardiography is done.